Which has the most prominent spinous process?
1. T1
2. C7
3. c6
4. L5

Correct answer: 2. C7

Explanation: C7 has the most prominent spinous process BD CHAURASIA S HUMAN ANATOMY Vol 3